The mechanism of learning and memory, include all except:
1. Changes in level of neurotransmitter at synapse
2. Increasing protein synthesis
3. Recruitment by multiplication of neurons
4. Spatial Reorganization of synapse

Correct answer: 3. Recruitment by multiplication of neurons

Explanation: C i.e. Recruitment by multiplication of neurons